In Wobble hypothesis, the true statement regarding variation is
1. 3' end of anticodon
2. 5' end of anticondon
3. m-RNA
4. t-RNA

Correct answer: 2. 5' end of anticondon

Explanation: The degeneracy of the genetic code resides mostly in the last nucleotide of the codon triplet, suggesting that the base pairing between this last nucleotide and the corresponding nucleotide of the anticodon is not strictly by the Watson-Crick rule. This is called wobble; the pairing of the codon and anticodon can "wobble" at this specific nucleotide-to-nucleotide pairing site . For example, the two codons for arginine, AGA, and AGG, can bind to the same anticodon having a uracil at its 5' end (UCU). Similarly, three codons for glycine can form a base pair from one anticodon, 3' CCI 5' (ie, I, inosine, can base pair with U, C, and A). Inosine is generatedby deamination of adenine. Ref: Harper's Biochemistry; 30th edition; Chapter 37; Protein Synthesis & the Genetic Code; Page no 417